Primary amenorrhoea is a feature of all EXCEPT:
1. Turner's syndrome
2. Stein-Leventhal syndrome
3. Rokitansky-Kustner-Hauser syndrome
4. Kallman syndrome

Correct answer: 2. Stein-Leventhal syndrome

Explanation: Ans. B i.e. Stein Leventhal syndrome